Which is not a feature of pilonidal sinus?
1. Common is young males
2. Abscess formation
3. Jack knife position is used for surgery
4. Recurrance is not common

Correct answer: 4. Recurrance is not common

Explanation: Recurrance is common in pilonodal sinus.